All muscles of pharynx are supplied by pharyngeal plexus except -
1. Palatopharyngngeus
2. Stylopharyngeus
3. Salpingopharyngeus
4. Superior constrictor

Correct answer: 2. Stylopharyngeus

Explanation: All muscles of pharynx are supplied by cranial accessory through branches of vagus pharyngeal plexus except stylopharyngeus which is supplied by glossopharyngeal. The inferior constrictor receives an additional supply from the external and recurrent laryngeal nerves.